Adrenaline acts on which enzyme in glycogenolysis?
1. Glucokinase
2. Hexokinase
3. Phosphorylase
4. Gluc diphosphatase

Correct answer: 3. Phosphorylase

Explanation: C i.e. Phosphorylase